A 35 year old obese female with hirsutism, diabetes, and hypertension. True is
1. She is at risk of ovarian cancer
2. She is at risk of endometrial cancer
3. She is at risk of cervical cancer
4. She is at risk of vulval cancer

Correct answer: 2. She is at risk of endometrial cancer

Explanation: Consequences of Polycystic Ovarian SyndromeShort-Term ConsequencesLong-Term ConsequencesuMenstrual dysfunction (Irregular menses)o Amenorrheao Oligomenorrheao Episodic menometrorrhagiauHyperandrogenismo HirsutismoAcneo Androgenic alopeciauInfeilityuObesityuInsulin resistance (Acanthosis nigricans)Dyslipidemia (Androgenic lipoprotein profile)o|LDLo|TGo|Total cholesterol: HDL ratioo|HDLuMetabolic syndrome - Characterized by insulin resistance, obesity, androgenic dyslipidemia and hypertensionuObstructive sleep apnea (Related to central obesity and dyslipidemia)uDiabetes mellitus uIncreased risk of impaired glucose tolerance and type 2 DM in PCOS patientsuCardiovascular diseases: Greater prevalence of atherosclerosis and cardiovascular disease with an increased risk of myocardial infarctionuCancero Endometrial carcinoma (3 fold increase risk)o Ovarian canceruWomen with PCOS are associated with a definite increased risk of endometrial cancer. An increased risk of ovarian cancer and breast cancer has also been suggested.